A 20 year old female is diagnosed with granulosa cell tumor of the ovary. Which of the following biomarkers would be most useful for follow-up of patient?
1. CA 19-9
2. CA 5O
3. Inhibin
4. Neuron-specific -enolase

Correct answer: 3. Inhibin

Explanation: Inhibin is secreted by granulosa cells and elevated tissue and serum levels of which are useful for identifying granulosa tumor and monitoring treated patients. Mutations of the FOXL2 gene is observed in 97% of adult granulosa cell tumors. Granulosa cell tumor: Marker is inhibin. Inhibin has been studied in women with granulosa cell tumors. It is a peptide hormone produced by ovarian granulosa cells that play a role in the regulation of FSH secretion by the pituitary. It is composed of an alpha subunit and 1 of 2 beta subunits (BA or BB). Although inhibin A and inhibin B levels can both be elevated in patients with granulosa cell tumors, inhibin B level is usually elevated in a higher proportion of these tumors.